Important factor for discordant growth between twins is:
1. Anaemia
2. Twin to twin transfusion
3. Compression
4. All

Correct answer: 2. Twin to twin transfusion

Explanation: Twin to twin transfusion